Anencephaly is earliest diagnosed at :
1. 6 weeks
2. 10 weeks
3. 14 weeks
4. 18 weeks

Correct answer: 2. 10 weeks

Explanation: 10 weeks